Interstitial nephritis is common with?
1. NSAID
2. Blackwater fever
3. Rhabdomyolysis
4. Tumor lysis syndrome

Correct answer: 1. NSAID

Explanation: Choices B, C, D lead to acute tubular necrosis and hence by exclusion the answer is A. Causes of Acute Interstitial Nephritis Drugs like beta-lactams, quinolones, NSAID, COX-2 inhibitors, phenytoin, valproate Infections like streptococcus, staphylococcus Connective tissue disorders like SLE, Sjogren Light chain nephropathy Urate nephropathy Causes of Chronic Interstitial Nephritis V.U.R Sickle cell disease Hypokalemic nephropathy